Cervical ripening is mainly due to the action of :
1. PGE2
2. PGF2
3. PGI2
4. PGG7

Correct answer: 1. PGE2

Explanation: PGE2